Epitheliod granuloma is characterstic ofa) Sarcoidosisb) Eosinophiliac) T.B.d) Mycosis fungoides
1. a
2. bc
3. ac
4. b

Correct answer: 3. ac

Explanation: Bacteria      →  Tuberculosis, leprosy, Brucellosis, Syphilis, Cat scratch disease, Q fever.
Fungal        →  Histoplasma, Blastomycosis, Coccidomycosis.
Helminthic  →  Schistosomiasis, Filariasis.
Others       →  Sarcoidosis, Crohn's disease, RA, Wegener's granulomatosis, Hodgkins disease.